Changes in blood passing through the systemiccapillaries are all except
1. Increase in hemotocrit
2. pH decreases
3. Shift of oxygen dissociation curve to the left.
4. Increase in protein content

Correct answer: 3. Shift of oxygen dissociation curve to the left.

Explanation: Shift of oxygen dissociation curve to the left The 0,-hemoglobin dissociation curve shifts to the right within the capillaries in response to increase in blood CO2 and Hydrogen ions. As the blood flows through the capillaries CO2 diffuses from the tissue cells into the blood. This increases the blood PCO2 and hence blood H2CO3 and Hydrogen ion conc. Increased hydrogen ions and PCO2 shift the 02-hemoglobin dissociation curve rightwards and downwards. This enhances the release of 02 from the blood for the tissues. This is k/a Bohr effect. 02-Hb Dissociation Curve Shift to Right Shift to Left H+ ion conc. T .1, PCO2 T 1 Temperature T 1 2,3 DPG conc. T 1 There is net efflux of fluid as blood passes through the capillaries resulting in increased hernatocrit and protein concentration.